Acanthosis nigricans is indicative of:
1. Internal malignancy
2. Endocrine disorder
3. Blooms syndrome
4. All

Correct answer: 4. All

Explanation: D i.e. All